Nerve supply of latissimus dorsi-
1. Radial nerve
2. Long thoracic nerve
3. Thoracodorsal nerve
4. Axillary nerve

Correct answer: 3. Thoracodorsal nerve

Explanation: Ans. is 'c' i.e., Thoracodorsal nerve * Thoracodorasal nerve (C6-8) is a branch of posterior cord of the brachial plexus that supplies the latissimus dorsi muscle. It is also known as the nerve to latissimus dorsi.